All of the following are pneumatic bones except?
1. Frontal
2. Ethmoid
3. Mandible
4. Maxilla

Correct answer: 3. Mandible

Explanation: Pneumatic bones are maxilla, frontal, sphenoid, ethmoid bones and mastoid process.